Which of the following type of Kaposi sarcoma is associated with HIV
1. Endemic kaposi sarcoma
2. Classic kaposi sarcoma
3. European kaposi sarcoma
4. None of the above

Correct answer: 4. None of the above

Explanation: Chronic / Classic  / European kaposi sarcoma is not associated with HIV.
Lymphadenopathic / African  / Endemic kaposi sarcoma is also not associated with HIV.
Transplant associated KS, AIDS associated KS are associated with HIV.